Left-sided pleural effusion seen in -a) Pancreatitisb) Rheumatoid arthritisc) Hypoproteinemiad) CCFe) Esophageal rupture
1. a
2. ae
3. ab
4. ad

Correct answer: 2. ae